Koplik spots on the buccal mucosa are seen in relation to which of the following teeth?
1. Incisors and canine
2. Canine and premolar
3. Only premolars
4. Premolar and molars

Correct answer: 4. Premolar and molars

Explanation: Koplik spots: pathognomonic of measles 
The Koplik’s spots are white papules resembling table salt like crystals with a red base, which appear usually on the buccal mucosa opposite to first and second molar teeth. 
Ref: Shafer's textbook of oral pathology 7th edition page 348